Medicolegal importance of rigor mortis is in estimation of -
1. Time of death
2. Manner of death
3. Cause of death
4. All the above

Correct answer: 1. Time of death

Explanation: The medicolegal importance of rigor mortis is estimation of time since death based on its extent. Dr. Narayana Reddys Synopsis of Forensic Medicine & Toxicology 27 th edition pg. 80.